What is not true regarding Bochdalek hernia?
1. Early respiratory distress leading to early diagnosis and treatment are good prognostic sign
2. Stomach and transverse colon are commonest content to herniate
3. Diagnosed prenatally by ultrasound
4. Common on left posterior side

Correct answer: 1. Early respiratory distress leading to early diagnosis and treatment are good prognostic sign

Explanation: A Bochdalek hernia is one of two forms of a congenital diaphragmatic hernia , the other form being Morgagni hernia. A Bochdalek hernia is a congenital abnormality in which an opening exists in the infant's diaphragm, allowing normally intra-abdominal organs (particularly the stomach and intestines) to protrude into the thoracic cavity. In the majority of patients, the affected lung will be deformed , and the resulting lung compression can be life-threatening. Bochdalek hernias occur more commonly on the posterior left side (85%, versus right side 15%) Ref - Internet